Not a marker for muscle tumor-
1. Desmin
2. Actin
3. Neurofilament
4. Intermediate filament

Correct answer: 3. Neurofilament

Explanation: All others except neurofilament are elevated in muscle tumors. Basic Pathology, Robbins. Page no.: 795